Mechanism of action of pralidoxime is:
1. Stimulation of ACh receptors
2. Inhibition of breakdown of ACh
3. Blockade of ACh receptors
4. Reactivation of AChE enzyme

Correct answer: 4. Reactivation of AChE enzyme

Explanation: Ans. (D) Reactivation of AChE enzyme(Ref: Katzung 10/e p116; KDT 8th/e p123)Pralidoxime and diacetylmonoxime are cholinesterase regenerator compounds used for organophosphate poisoning.